Which is not a cytopathic effective of virus?
1. Syncytium formation
2. Budding
3. Ballooning and floating
4. Focal degeneration

Correct answer: 2. Budding

Explanation: Ans. is 'b' i.e., BuddingBudding is not cytopathic effect; it's a method of reproduction in yeast like Cryptococcus species and Candida species.